Pruning is:-
1. Programmed elimination during development
2. Programmed elimination during senility
3. Programmed elimination during cancer
4. Programmed elimination during irradiation

Correct answer: 1. Programmed elimination during development

Explanation: Pruning: * Programmed elimination during development of neurons, synapses, axons and other brain structures The fetal brain has more neurons generated than required for adult life The reduction is to remove all the unnecessary cells or cells which have already served their function